True about the Tongue is
1. Extrinsic & intrinsic muscles of tongue supplied by lingual nerve
2. Taste fibres from anterior 2/3 of the tongue is suppliedby facial nerve
3. Posterior 1/3 of the tongue drain into Submandibular lymph nodes
4. Posterior 1/3 of the tongue is supplied by vagus nerve

Correct answer: 2. Taste fibres from anterior 2/3 of the tongue is suppliedby facial nerve

Explanation: (B) Taste fibres from anterior 2/3 of the tongue is supplied by facial nerve # Chorda tympani is the nerve of taste (and therefore taste papillae) for anterior 2/3rd of tongue except circumvallate papillae.> Glossopharyngeal nerve is for both general sensation and taste from posterior l/3rd of tongue including circumvallate papillae.> The sense of taste is mediated through the facial, glossopharyngeal and vagal nerves.> Taste buds are located in: The foliate papillae along the lateral margin of tongue. In the fungiform papillae throughout the dorsum of tongue. In the circumvallate papillae at junction of dorsum and base of tongue. Taste buds are also located in the palate, epiglottis, larynx and esophagus.> Taste sensation are carried by: From Ant 2/3rd of tongue-- through chorda tympani branch of facial nerve. Post 1/3rd of tongue--lingual branch of 10th nerve. Afferents from palate travel with the GSPN to the geniculate ganglion and thence via the facial nerve to brain stem. From larynx, epiglottis and esophagus -- Through internal branch of Sup. Laryngeal nerve of vagus.